Most common complication of pseudocyst
1. Infection
2. Rupture
3. Hemorrhage
4. Compression

Correct answer: 1. Infection

Explanation: Pseudocyst complications Infection (MC) :14% Pain due to expansion Hemorrhage upto 10% Duodenal obstruction Rupture Abscess Ref: Shackelford 7th edition Pgno :1159